The national level system that provides annual national as well as state level reliable estimates of fertility and mortality is called:
1. Civil Registration System
2. Census
3. Adhoc Survey
4. Sample Registration System

Correct answer: 4. Sample Registration System

Explanation: Ans. 'd' i.e. Sample Registration systemRef Park 20/e, p 743, 18th/e, p. 639 (17th/page 605) Sample Registration system was started in mid. 1960's. Its aim was to provide reliable estimates of birth and death rates at national and state levels.The SRS now covers the entire country.It is a major source of health informationSince the introduction of this system, more reliable information on birth and death rates; age-specific fertility and mortality rates, infant and adult mortality etc. have become available.Sample registration system is a dual-record system consisting of: - (a) Enumerator - continuous enumeration of births and deaths by an enumerator (b) Independent survey - Independent survey every 6 months by an investigator supervisor.Census - It is an important source of health information. It is taken usually at intervals of 10 years.Civil registration system - It is deficient in India.